Masaoka staging is used in
1. RCC
2. HCC
3. Thymoma
4. Lymphoma

Correct answer: 3. Thymoma

Explanation: The staging system for thymoma was developed by Masaoka and colleagues. It is an anatomic system in which the stage is increased on the basis of the degree of invasiveness. Diagnostic criteriaIMasaoka Staging System for ThymomasStageMacroscopiccriteriamicroscopically completely encapsulated; noinvasion through capsuleIIIIAMicroscopic invasion outside the capsuleIIBMacroscopic invasion into surrounding fat or grossly adherent to pleura or pericardiumIIIIIIAMacroscopic invasion into neighboring organs, pericardium, or pleura but not great vesselsIIIBMacroscopic invasion into neighboring organs that includesgreat vesselsIVIVAPleural or pericardial disseminationIVBLymphatic or hematogenous metastasesRef: Harrison's Principles of Internal Medicine; 19th edition; Chapter 123e Thymoma; Page no: 123e-1